All are true about gestational trophoblastic disease except :
1. Complete mole genome is triploidy
2. Choriocarcinoma rarely follows full term pregnancy
3. Suction and curettage remove most of hydatidiform mole
4. Snowstorm appearance on USG

Correct answer: 1. Complete mole genome is triploidy

Explanation: Complete mole genome is triploidy